A 25 years female was found in the room with 100% burns on her body. The tongue was protruding out; the body was in pugilistic attitude with heat ruptures, peeling of skin, and heat haematoma and heat fractures of the skull. Carboxyhemoglobin was 25% and soot particles were present in the trachea. Which of the combinations of two findings will establish that the burns were antemortem in nature-
1. Heat haematoma & heat ruptures
2. Heat fracture of skull and peeling of skin
3. Heat haematoma and pugilistic attitude
4. Carboxy hemoglobin (25%) and soot particles in trachea

Correct answer: 4. Carboxy hemoglobin (25%) and soot particles in trachea

Explanation: Presence of carbon particles (soot) in respiratory passages and elevated level of carboxy-hemoglobin confirms that victim was alive when the burn occurred.
i.e. Ante-mortem burn.